Side effect of alfentanil:
1. Chest wall rigidity
2. Hypertension
3. Convulsion
4. Hallucination

Correct answer: 1. Chest wall rigidity

Explanation: Ans. (a) Chest wall rigidityRef : Miller's Anaesthesia 7th ed. / 806* Alfentanil is a short-acting synthetic opioid analgesic drug, used for anaesthesia in surgery. It is an analogue of fentanyl, with lower potency.* Most adverse side effect: Chest wall rigidity, followed by others like respiratory depression, arrhythmia, Bradycardia, hypertension, blurred vision etc.Also Know* Remifentanyl, Alfentanyl & Sufentanil have short duration of action so can be used as outpatient anesthetic agents* Best anesthetic agentfor OPD patients: Alfentanyl